Which of the following is multipennate muscle ?
1. FPL
2. EPL
3. Deltoid
4. FHL

Correct answer: 3. Deltoid

Explanation: Fascicular architecture of skeletal muscleThe major types of arrangement of muscle fibers or fasciculi are :-1) Parallel fasciculiThe muscle fibers or fasciculi are parallel to line of muscle pull.These muscles contract over a great distance (have maximum range of movement) and have good endurance.Convergent fasciculiThe muscle fibers or fasciculi converge at the insertion point to maximize contraction. Examples are :?i) Triangular : Adductor longusii) Fan-shaped : Temporalis3) Spiral or twisted fasciculiMuscle fibers are twisted or spiraled, e.g. trapezius, latissimus dorsi, pectoralis major, supinator.4) Cruciate muscleMuscle fibers or fasciculi are arranged in superficial and deep planes and crossed 'X', e.g. sternocleidomastoid, masseter, adductor magnus.5) Sphincter fasciculiMuscle fibers or fasciculi surround an opening or orifice, e.g. orbicularis oculi, orbicularis oris.6) Pennate fasciculiFibers run obliquely to the line of pull, so that muscle looks like the feather .